Number of holes in mosquito net (per sq. inch) –
1. 50
2. 150
3. 100
4. 200

Correct answer: 2. 150